Grievous hurt comes under which section of IPC?
1. Section 319
2. Section 320
3. Section 324
4. Section 326

Correct answer: 2. Section 320

Explanation: Section 320 REF: Textbook of Forensic Medicine and Toxicology by Nagesh Kumar Rao Page 259 Section 320: Grievous hurt The following kinds of hurt only are designated as "grievous" Emasculation Permanent privation of the sight of either eye Permanent privation of the hearing of either ear Privation of any member or joint Destruction or permanent impairing of the powers of any member or joint Permanent disfiguration of the head or face Fracture or dislocation of a bone or tooth Any hurt which endangers life or which causes the sufferer to be during the space of twenty days in severe bodily pain, or unable to follow his ordinary pursuits.